Destructive power of bullet is determined by?
1. Weight of bullet
2. Shape of bullet
3. Size of bullet
4. Velocity of bullet

Correct answer: 4. Velocity of bullet

Explanation: Ans. is 'd' i.e., Velocity of bullet > 'a' i.e., Weight of bullet o Tissue damage (or destructive power of bullet) is dependent on striking (kinetic) energy of bullet, which is proportional to its mass and square of velocity (KE = 1/2 mv2). So modem bullets are designed to have smaller mass allowing transportation of large amount of ammunition and high velocity, as velocity is more important determinant in destructive power of bullet.